Mitha bish is:
1. Oleander
2. Aconite
3. Quinine
4. Digitalis

Correct answer: 2. Aconite

Explanation: Ans. Aconite